Pepper pot appearance of skull is seen in:
1. Multiple myeloma
2. Hyperparathyroidism
3. Sickle cell anemia
4. Fibrous dysplasia

Correct answer: 2. Hyperparathyroidism

Explanation: Pepper pot skull - - seen in cases of Hyperparathyroidism - there is resorption of trabecular bone (skull) as well as there is loss of definition between inner and outer tables of skull * Cotton wool skull - Paget's disease * HAIR ON END Appearance - Severe Hemolytic anemias. * Punched Out Lesion - Multiple myeloma - (Multiple punched out lytic lesions)